Last step of spermatogenesis takes place in
1. Lyedigs cells
2. Interstitial cellis
3. Sertoli cells
4. Stromal cells

Correct answer: 3. Sertoli cells

Explanation: The entire process by which spermatogonial stem cells divide and differentiate into sperms. The process has three phases: spermatocytogenesis, meiosis, and spermiogenesis.Ref: Ganong's review of medical physiology; 24th edition; page no: 420